Disease presenting as soft, velvety, verrucous, hyperpigmentation of axillae in an adult with adenocarcinoma stomach is:
1. Pemphigus
2. Acanthosis
3. Pemphigoid
4. Contact dermatitis

Correct answer: 2. Acanthosis

Explanation: Acanthosis